Trace element is ------- % of body weight
1. 0.001
2. 0.01
3. 0.1
4. 1

Correct answer: 2. 0.01

Explanation: TRACE ELEMENTS: These are elements required by the body in quantities of less than a few milligrams per day, It constitutes 0.01% of total body weight. e.g. iron, iodine, fluorine, zinc, copper cobalt, chromium, manganese, molybdenum, selenium, nickel, tin, silicon and vanadium. Ref: Park 25th edition Pgno : 660